The first reflex response to appear as spinal Shock wears off in humans is
1. Tympanic reflex.
2. Withdrawal reflex
3. Neck righting reflex
4. Labyrinthine reflex

Correct answer: 2. Withdrawal reflex

Explanation: (B) Withdrawal reflex CENTERREFLEXESCerebral cortex* Conditional reflexes* Optical righting reflex* Placing reaction* Hooping reactionSpinal cord* Stretch reflexes* Positive supporting reaction* Negative supporting reactionMidbrain* Righting reflexes* Neck righting reflex* Labrynthine righting reflex* Body or head righting reflex* Body on body righting reflex* Locomotor reflexesMedulla* Tonic labrynthine reflex* Tonic neck reflexThalamus* Locomotor reflex